Which one of the following amino acid residue is carboxylated by Vitamin K?
1. Aspartate
2. Glutamate
3. Tryptophan
4. Tyrosine

Correct answer: 2. Glutamate

Explanation: Vitamin K is the cofactor for g-carboxylation of glutamate residues of protein to produce g-carboxy glutamate (gla). This process is known as Vitamin K epoxide cycle (as illustrated in the image below).